Carhart's notch dips at:
1. 2 Hz
2. 200 Hz
3. 2000 Hz
4. 2000 MHz

Correct answer: 3. 2000 Hz

Explanation: Ans. (c) 2000 Hz* Carhart Notch is an audiogram finding and is an important feature in patients with Otosclerosis.* There is a sudden dip (notch) at 2000 Hz in bone conduction curve.* Carhart s notch disappears after stapedectomy.